Broca's area is :
1. 44 and 45
2. 40 and 42
3. 43 and 44
4. None

Correct answer: 1. 44 and 45

Explanation: A i.e. 44 & 45